Bence Jones proteins are derived from?
1. Alpha globulins
2. Light chain globulins
3. Beta globulins
4. Delta globulins

Correct answer: 2. Light chain globulins

Explanation: Excretion of light chains in the urine has been referred to as Bence Jones proteinuria. Light chains includes K and l (kappa and lambda) These play a role in the pathogenesis of renal dysfunction in multiple myeloma.